The thoracic duct receives tributaries from all of the following except
1. Bilateral ascending lumbar trunk
2. Bilateral descending thoracic trunk
3. Left upper intercostal duct
4. Right bronchomediastinal lymphatic trunk

Correct answer: 4. Right bronchomediastinal lymphatic trunk

Explanation: Right bronchomediastinal lymphatic trunk joins with right lymphatic duct in right side not with thoracic duct. BD CHAURASIA'S human anatomy.VOLUME 1. 6TH EDISION. PAGE NO 286. fig 20.11